In hyperparathyroidism all seen except -
1. osteopetrosis
2. Osteoporosis
3. Cysts
4. Brown tumor

Correct answer: 1. osteopetrosis